Which of the following is/are transfusion transmitted viruses -
1. Hepatitis B
2. CMV
3. HTLV -1 HHV - 8
4. All

Correct answer: 4. All

Explanation: Ans. is `a' i.e., Hepatitis - B; 'b' i.e., CMV; `c' i.e., HTLV-1